The weight of the child at 3 years is usually_______ times the birth weight
1. 3
2. 4
3. 5
4. 7

Correct answer: 3. 5

Explanation: weight of new born Weight of child in nude or minimal clothing is measured accurately on a lever or electronic type of weighing scale. Spring balances are less accurate. The weighing scale should have a minimum unit of 100g. Child should be placed in middle of pan. Age Weight(kg) Birth. 3 6 months 6 (doubles) 1 yr. 9(triples) 2 yr. 12(quadruples) 3 yr. 15 4 yr. 16 At birth weight is 3 kg and at 3 years it is 15 kg ( 5 times birth weight). {Reference: GHAI essential Paediatrics}
.